During radiotherapy the Buccal Mucosa exhibits radiation reaction before skin due to -
1. Rapid cellular turn-over in bone
2. Slow cellular turn-over in blood vessel
3. Rapid cellular turn-over in skin
4. Rapid cellular turn-over in mucosa

Correct answer: 4. Rapid cellular turn-over in mucosa

Explanation: Rapidly dividing cells are generally more radio sensitive then slowly dividing cells, reflecting radiation induced inhibition of D.N.A. synthesis.